Sarcoidosis causes all except -
1. Osteomalacia
2. Addison's disease
3. Diabetes insipidus
4. Hypercalcemia

Correct answer: 1. Osteomalacia